Which of the following arteries gives blood supply to the ductus deferens?
1. Cremastric artery
2. Inferior epigastric artery
3. Middle rectal artery
4. Superior vescial artery

Correct answer: 4. Superior vescial artery

Explanation: D i.e. Superior vesicle artery Vas (ductus) deferens is 45 cm long muscular tube which conveys sperms from epidytlimis to ejaculatory duct. It receives blood from its own artery (i.e., artery to ductus deferens) which usually arises from superior vesical arteryQ (but may occasionally arise from inferior vesical artery). Artery to ductus deferens anastomose with testicular artery to supply epididymis and testis.- Testicular artery also supplies perirenal fat, ureter, & iliac lymph node (in abdomen), and cremaster (in inguinal canal). The testicular artery represent peisistent lateral splanchnic aortic branches.Testis is mainly supplied by testicular arteryQ (an anterior branch of aorta). It also recieves blood from the cremasteric branch of inferior epigastric artery and from artery to vas (ductus) deferens (branch of superior vesicle artery)Q. That's why ligation of testicular artery high in abdomen usually leave testis unharmed, whereas interruption in the region of spermatic cord may interefere with all vessels & cause infarction.- In treating varicocele, both testicular artery & vein are ligated quite high up, which provides the advantage of ligating venae comitantes of artery. If left open these venae comitantes can lead to recurrence because of their anastomoses with internal spermatic veins